Which is the cause of hemolysis in G6-PD deficiency?
1. Hemoglobin defect
2. Oxidative stress
3. Membrane defect
4. Vitamin B12 deficiency

Correct answer: 2. Oxidative stress

Explanation: Ans. is 'b' i.e., Oxidative stress * Normally RBCs are protected from oxidant injury by reduced glutathione. Reduced glutathione is generated from oxidized glutathione and the reducing equivalent for this reaction is provided by NADPH. This NADPH is generated in HMP shunt by enzyme Glucose-6-phosphate dehydrogenase, while oxidizing glucose-6-phosphate.* If G6PD is deficient, NADPH production will be reduced that results in increased susceptibility of RBC to oxidative damage because of unavailability of reduced glutathione. So, whenever there is oxidant stress, e.g. by drugs, infection or foods, hemolysis occurs. G6PD deficiency causes episodic intravascular and extravascular hemolysis.